Which of the following agents is beneficial in NSAID induced gastric ulcer?
1. PGE1 agonist
2. PGE2 agonist
3. PGD2 agonist
4. PGF2alpha agonist

Correct answer: 1. PGE1 agonist

Explanation: functioning as natural ulcer protective by enhancing gastric mucus and HCO3 production as well as by improving mucosal circulation ESSENTIALS OF MEDICAL PHARMACOLOGY SEVENTH EDITION KD TRIPATHI PG NO.186